Smoking causes all cancers except:
1. Carcinoma endometrium
2. Oral cancer
3. Kidney cancer
4. Bladder cancer

Correct answer: 1. Carcinoma endometrium

Explanation: There does not appear to be a casual link between cigarette smoking and cancer endometrium. Smoking DOES NOT cause primary brain cancer. Kidney, oral cancer and bladder cancer are associated with smoking.